Which of the following characterizes mallampati class 3
1. Only hard palate visible
2. Both hard palate and soft palate visible
3. Hard palate ,soft palate, uvula and faucial pillars visible
4. None

Correct answer: 2. Both hard palate and soft palate visible

Explanation: Both hard and soft palate should be seen in grade 3.